The pharmacokinetics of Paroxetine include its ability to be easily absorbed after oral administration in healthy volunteers even after food is ingested. Which of the following is TRUE?
1. Main portion of the medication resides in system circulation
2. Little of the medication is absorbed into the tissues
3. Less than 1% of the drug is in systemic circulation owing to extensive distribution in body tissues.
4. Less than 25% is eliminated by the kidneys

Correct answer: 3. Less than 1% of the drug is in systemic circulation owing to extensive distribution in body tissues.

Explanation: The major portion of paroxetine is distributed into the tissues and less than 1% if in systemic circulation while 64% if eliminated by the kidneys and 36% in the feces. The primary effect is believed to be on brain neurons because of its qualities as a selective serotonin reuptake inhibitor (SSRI). Ref: Pollock B.G., Semla T.P., Forsyth C.E. (2009). Chapter 63. Psychoactive Drug Therapy. In J.B. Halter, J.G. Ouslander, M.E. Tinetti, S. Studenski, K.P. High, S. Asthana (Eds), Hazzard's Geriatric Medicine and Gerontology, 6e.